Immunity against cancer cells -
1. Basophills
2. Eosinophils
3. NK cells
4. Neutrophils

Correct answer: 3. NK cells

Explanation: Ans. is 'c' i.e., NK cells o NK cells are endowed with an innate ability to kill a variety of tumor cells, virally infected cells, and some normal cells, without previous sensitization. o These cells are part of the innate immune system, and they may be the first line of defense against viral infections and, perhaps, some tumors.